Thickest cranial nerve is-
1. Trochlear nerve
2. Vagus
3. Facial nerve
4. Trigeminal nerve

Correct answer: 4. Trigeminal nerve

Explanation: Ans. is 'd' i.e., Trigeminal nerve * Longest intracranial course-Trochlear nerve* Longest course overall and most widely distributed-Vagus* Smallest (thinnest) cranial nerve-Trochlear nerve* Largest (thickest) cranial nerve-Trigeminal nerve* The only cranial nerve arising from dorsal aspect-Trochlear nerve* Only cranial nerve decussating completely before emerging-Trochlear nerve* Cranial nerve most commonly involved in basal skull fracture-Facial nerve* Cranial nerve most commonly involved in raised intracranial tension-Abducent nerve* Commonest cranial nerve affected in spinal anaesthesia-Abducent nerve* Cranial nerve most commonly involved in intracranial aneurysm-Oculomotor nerve* Cranial nerves carrying parasympathetic fibers-3, 7, 9, 10